All are involved in auditory pathway except -
1. Trapezoid body
2. Lateral geniculatebody
3. Inferior colliculus
4. Superior olivary complex

Correct answer: 2. Lateral geniculatebody

Explanation: Ans. is 'b' i.e., Lateral geniculate bodyAuditory pathwayo Hair cells of organ of corti are sensory cells for hearing.o Hair cells get innervation from bipolar cells of spiral ganglion and central axon of these bipolar cells collect to form the cochlear division of VIII nerve (cochlear nerve).o Cochlear nerve carries impulse from sense organ (organ of corti) to dorsal and ventral cochlear nuclei located in the upper part of medulla.o All the fibres from the dorsal and ventral cochlear nuclei synapse in trapezoid body and 2nd order neurons pass mainly to the opposite side to the brain stem to terminate in the superior olivary nucleus (a few 2nd order neurons pass to same side superior olivary nucleus also).o From the superior olivary nucleus, the auditory pathway passes upward through lateral lemniscus.o Some fibres terminate in the nucleus of lateral lemniscus but many bypass and travel on to the "inferior colliculus ", where almost all fibres do synapse.o From these, the pathway passes to the medial geniculate body and finally to auditory cortex by way of auditory radiation.